Wilson's disease is caused by defect in:
1. ATP 7A mutation
2. ATP 7B mutation
3. Ceruloplasmin
4. ATP 7C mutation

Correct answer: 2. ATP 7B mutation

Explanation: b. ATP 7B mutation(Ref: Nelson's 20/e p 1939-1940, Ghai 8/e p 320-321)The abnormal gene for Wilson disease is ATP7B on long arm of chromosome 13 (13q14.3)